Only male are affected in
1. Scheie's syndrome
2. Hunter's syndrome
3. Hurler's syndrome
4. Gaucher's disease

Correct answer: 2. Hunter's syndrome

Explanation: Hunter's syndrome belongs to Type II mucopolysaccharidoses in which mucopolysaccharides accumulate in the lysosomes causing disorganization of the cell structure & function.This syndrome is characterised by mild intellectual disability;marked skeletal changes like thickening of the skull,marked deformity of sella tursica,broad spatula like ribs,beak shaped vertebrae(around L1 vertebra) and proximal tapering of metacarpals-these abnormalities are referred to as dysostosis multiplex;coarse facies & hepatosplenomegaly. Reference:Essential pediatrics-Ghai,8th edition,page no: 660,661.